All of the following are associated increased REM latency, except -
1. First night effect
2. SSRIs
3. Narcolepsy
4. Restless leg syndrome

Correct answer: 3. Narcolepsy

Explanation: Ans. is 'c' i.e. narcolepsy Increased REM latencyReduced REM latencyo Post traumatic stress disordero Narcolepsyo Restless leg syndromeo Depression, Bipolar disordero First night effecto Cushing syndromeo SSRIso Addison's diseaseo TCAso Untreated sleep apneao Ethanolo Withdrawal of REM suppressing drugso Lithiumo OCD o Schizophrenia